Duodenal blowout is:
1. Perforation of duodenal ulcer
2. Iatrogenic
3. Complication of partial gastrectomy
4. Due to Trauma

Correct answer: 3. Complication of partial gastrectomy

Explanation: DUODENAL STUMP BLOWOUT - Duodenal stump blowout is massive leakage from duodenal stump following BiIlroth-II gastrectomy. CLINICAL FEATURES: - It usually occurs on 4Qto 7Q post-operative day. TREATMENT: - Adequate drainage must be Instituted Immediately, TPN should be instituted . - Fistula closure can be anticipated within 2-3 weeks.